Using histological criteria to date endometrial development, which of the following is the earliest sign of ovulation?
1. Gland coiling
2. Stromal edema
3. Neovascularization
4. Glycogen accumulation

Correct answer: 4. Glycogen accumulation